Most common cause of neonatal seizures is not related
1. Sepsis
2. Hypoxic ischemic encephalopathy
3. Bacterial meningitis
4. Hypoglycemia

Correct answer: 2. Hypoxic ischemic encephalopathy